Not True about Glue Ear
1. Myringotomy with curvilenear incision
2. Grommet is inserted as treatment
3. Also known as serous Otitis media
4. Myringolomy lone in Antero-inferior quadrant

Correct answer: 1. Myringotomy with curvilenear incision

Explanation: In Som → Myringotomy with Radial incision done.